Transport of carbon monoxide (CO) is diffusion limited because-
1. High affinity of CO for hemoglobin
2. Alveolar membrane is less permeable CO
3. CO crosses epithelial barrier slowly
4. ON exposure to air there is sudden increase in partial pressure

Correct answer: 1. High affinity of CO for hemoglobin

Explanation: Ans. (a) High affinity of CO for hemoglobin(Ref: Ganong, 25th ed/p.640)The affinity of carbon monoxide for hemoglobin is about 210 times more than that of oxygen for hemoglobin